Which of the following neoplasms has been associated with the use of oral contraceptives?
1. Breast cancer
2. Ovarian cancer
3. Endometrial cancer
4. Hepatic adenoma

Correct answer: 4. Hepatic adenoma

Explanation: OCP s have shown to decrease the ovarian and endometrian carcinomas but in addition they are also a potential risk factor for begin hepatic adenomas. Ref: Katzung 12 th ed.